Secretin
1. Reduces the action of CCK PZ
2. Reduces Gastric secretion
3. Increases Gastric secretion
4. Relaxation of pyloric spincter

Correct answer: 2. Reduces Gastric secretion

Explanation: Secretin is secreted by S cells in the upper part of the small intestine. Secretin increases the secretion of bicarbonate by the pancreas. It also augments the action of CCK. It decreases gastric acid secretion and May cause contraction of pyloric sphincter.(Ref: Ganong's Review of medical physiology, 23 rd edition, page 446 )